Sphenopalatine foramen opens in which wall of pterygopalatine fossa?
1. Medial wall
2. Lateral wall
3. Superior wall
4. Inferior wall

Correct answer: 1. Medial wall

Explanation: The pterygopalatine fossa is a small pyramidal space inferior to the apex of the orbitThe pterygopalatine fossa communicates to:DirectionPassageConnectionPosteriorlyforamen rotundummiddle cranial fossaPosteriorlypterygoid canal (Vidian)middle cranial fossa, foramen lacerumPosteriorlypalatovaginal canal (pharyngeal)nasal cavity/nasopharynxAnteriorlyinferior orbital fissureorbitMediallysphenopalatine foramennasal cavityLaterallypterygomaxillary fissureinfratemporal fossaInferiorlygreater palatine canal (pterygopalatine)oral cavity, lesser palatine canals